Which among the following statements is true regarding chalazion  a) Mucous cyst  b) Sebaceous cyst  c) Due to staphylococcal infection  d) Recurrence may imply malignancy  e) Occlusion of Meibomian gland
1. abc
2. bde
3. bcd
4. ade

Correct answer: 2. bde

Explanation: Recurrence may occur in seborrhoeic dermatitis, acne rosacea and malignant change